All of the following conditions produce restrictive cardiomyopathy except -
1. Hypothyroidism
2. Amyloidosis
3. Hyper-eosinophilic syndrome
4. Tropical endomyocardial fibrosis

Correct answer: 1. Hypothyroidism